The difference between iron sorbitol-citric acid and iron dextran is that the former
1. Cannot be injected i.v.
2. Is not bound to transferrin in plasma
3. Is not excreted in urine
4. Produces fewer side effects

Correct answer: 1. Cannot be injected i.v.

Explanation: (Ref: KDT 6/e p586) Iron sorbitol citrate should not be used i.v. because it may rapidly saturate the transferrin receptors and can result in high concentrations of free iron.